Straight wire appliances is developed by
1. Angle
2. Andrew
3. Begg
4. Pancherz

Correct answer: 2. Andrew